Role of marijuana in AIDS related cachexia?
1. Euphoric
2. Pschostimulator
3. Increases appetite
4. Decrease emetic feeling

Correct answer: 3. Increases appetite

Explanation: Ans. is 'c' i.e., Increases appetite Mari-juana or cannabis sativa contains the active principle tetrahydrocannabinol (THC), which as an appetite stimulant effect.